Brown colored urine is seen in the :
1. Nitric acid poisoning
2. Carbolic acid poisoning
3. Sulphuric acid poisoning
4. Hydrochlric acid poisoning

Correct answer: 1. Nitric acid poisoning

Explanation: A i.e. Nitric acid